The following channal is responsible for release of calcium
1. Ryanodin receptor
2. SERCA
3. Both
4. None

Correct answer: 1. Ryanodin receptor

Explanation: Ryanodine receptor is responsible for release of calcium SERCA helps in uptake and storage of calcium in sarcoplasmic reticulum Ref:Guyton and Hall textbook of medical physiology 12th edition,page number: 86,87